Which set of arterial blood values describes a patient with partially compensated respiratory alkalosis after 1 month on a mechanical ventilator? pH ,HCO3- (mEq/L), Pco2 (mm Hg) (A) 7.65, 48, 45 (B) 7.50, 15, 20 (C) 7.40, 24, 40 (D) 7.32, 30, 60 (E) 7.31, 16, 33
1. A
2. B
3. C
4. D

Correct answer: 2. B

Explanation: The blood values in respiratory alkalosis show decreased Pco2 (the cause) and decreased and by mass action. The is further decreased by renal compensation for chronic respiratory alkalosis (decreased HCO3- reabsorption).